Which of the following are examples of modified apouine glands
1. Mammary glands
2. Moll glands
3. Cerumin glands
4. All of the above

Correct answer: 4. All of the above

Explanation: Apocrine glands secrete the secretion by disintegration of apical portion of the cell and Mammary glands, Moll glands & cerumin glands are examples of modification of apocrine glands.